The colour of k file no 45 is
1. Black
2. White
3. Purple
4. Yellow

Correct answer: 2. White